Hypercalcemia is associated with all, except?
1. Hyperparathyroidism
2. Sarcoidosis
3. Milk alkali syndrome
4. Celiac disease

Correct answer: 4. Celiac disease

Explanation: Hyperparathyroidism leads to increased bone resorption and leads to hypercalcemia. The non-caseating granulomas in Sarcoidosis lead to increased Vitamin D3 synthesis. This increased GI absorption of calcium and explains the hypercalcemia. The milk-alkali syndrome(Burnett's syndrome) is due to excessive ingestion of calcium and absorbable antacids such as milk or calcium carbonate. It is much less frequent since proton-pump inhibitors and other treatments became available for peptic ulcer disease. Recently the use of calcium carbonate in the management of secondary hyperparathyroidism led to reappearance of the syndrome which features hypercalcemia, alkalosis, and renal failure. The chronic form of the disease, termed Burnett's syndrome, is associated with irreversible renal damage.